Rigler's triad consist of all, except:
1. Intestinal obstruction
2. Cholangitis
3. Gas in bile duct
4. Ectopic gallstone

Correct answer: 2. Cholangitis

Explanation: The triad indicates gallstone ileus. Rigler's triad is: Ectopic gallstone Partial or complete bowel obstruction Gas in the gallbladder or in biliary tree Ref: Sabiston, 18th Edition, Page 1572